'Peg Cells' are seen in :
1. Vagina
2. Vulva
3. Ovary
4. Tubes

Correct answer: 4. Tubes

Explanation: Tubes